Which amongst these is a tuberculid?
1. Erythema nodosum
2. Scrofuloderma
3. Lupus vulgaris
4. Erythema induratum

Correct answer: 4. Erythema induratum

Explanation: It is a nodular type of hypersensitivity reaction typically presents as red tender nodules.